Middle cranial fossa contain :
1. Foramen lacerum.
2. Superior orbital fissure.
3. Foramen ovale.
4. All of the following

Correct answer: 4. All of the following